fix of choice hi chronic alcoholic with normal RBS,normal UN, but altered sensorium
1. Vit. B1 injection IM
2. Dextrose 50%
3. Dextrose 10%
4. Normal saline

Correct answer: 1. Vit. B1 injection IM